Most sensitive investigation for cystic fibrosis is?
1. CT scan
2. Ultrasound
3. Sweat electrolytes
4. Tomogram

Correct answer: 3. Sweat electrolytes

Explanation: Ans. (c) Sweat electrolytesRef: Harrison's Medicine 18th ed p 2149-50